Accidents happening during weekends is
1. Cyclic trends
2. Seasonal trends
3. Secular trends
4. Point source epidemic

Correct answer: 1. Cyclic trends